Nutrient artery to fibula arises from
1. Peroneal artery
2. Anterior- tibial artery
3. Posterior tibial artery
4. Popliteal artery

Correct answer: 1. Peroneal artery

Explanation: Nutrient artery to fibula:- The peroneal artery gives off nutrient artery to fibula.Enters the bone on its posterior surface.Nutrient foramen directed downwards. {Reference: BDC 6E}